Which of the following is a Category A bioterrorism agent?
1. Coxiella
2. Brucella
3. Nipah virus
4. Bacillus anthracis

Correct answer: 4. Bacillus anthracis

Explanation: BIOTERRORISM AGENTS (CDC) Category A Anthrax ( Bacillus anthracis) Botulism ( Clostridium botulinum toxin) Plague ( Yersinia pestis) Smallpox ( variola major) Tularemia ( Francisellatularensis) Viral haemorrhagic fever ( filovirus and arenavirus) Category B Brucellosis ( Brucella species) Clostridium perfringens' epsilon toxinFood safety threats ( Salmonella species, E.coli O 157:H7, Shigella) Glanders (Burkholderia mallei) Melioidosis ( Burkholderiapseudomallei) Psittacosis ( Chlamydia psittaci) Q fever ( Coxiella burnetii) Ricin toxin from Ricinus communis ( castor beans) Staphylococcal enterotoxin BTyphus fever ( Rickettsia prowazekii) Viral encephalitis ( Equine encephalitis viruses) Water safety threats ( e.g: Vibrio cholerae, cryptosporidium parvum ) Category C Emerging infectious diseases such as Nipah virus and hantavirus